In scieritis all are true except:
1. Scleromalacia perforans are more commonly associated with systemic diseases than posterior scleritis
2. Pain is not a prominent feature
3. Retinal detachment is a known complication
4. Glaucoma is a known complication

Correct answer: 2. Pain is not a prominent feature

Explanation: Ans. Pain is not a prominent feature